Protein losing enteropathy with mucosal erosion is seen in
1. Lymphoma
2. Coeliac disease
3. Menetrier's disease
4. Systemic lupus erythematosus

Correct answer: 1. Lymphoma

Explanation: Causes of protein losing enteropathy with mucosal erosion are Crohn's disease, ulcerative colitis, radiation damage and lymphoma. Coeliac disease, Menetrier's disease and systemic lupus erythematosus can cause protein losing enteropathy without mucosal erosion. Ref: Davidson's Principles and Practice of Medicine, 22nd edition, p886